Volume of the vitreous is:
1. 2 mL
2. 3 mL
3. 4 mL
4. 7 mL

Correct answer: 3. 4 mL

Explanation: Ans. 4 mL